Anaesthesia used during Coronary angiography technique is:-
1. Local anaesthesia
2. Caudal Anaesthesia
3. General Anaesthesia
4. Epidural Anaesthesia

Correct answer: 1. Local anaesthesia

Explanation: General Anaesthesia is not given for angiography . Local Anaesthesia and sedation is mostly used for angiography.